The structure which is NOT a component of basal ganglia
1. Caudate of basal ganglia
2. Putamen
3. Globus pallidus
4. Thalamus

Correct answer: 4. Thalamus

Explanation: Anatomically, basal ganglia include *corpus striatum *claustrum *amygdaloid body Corpus striatum includes caudate nucleus, globus Pallidus, putamen. Functionally, basal ganglia also include substantia nigra and subthalamus. (Ref: Vishram Singh textbook of clinical neuroanatomy, second edition pg-154 )